Dry skin seen due to excess dosage of datura is due to
1. Vasodilatation
2. Absence of sweating
3. Central action
4. Change in BMR

Correct answer: 2. Absence of sweating

Explanation: One of the anticholinergic effects is dry skin due to absence of sweating due to blockade of m3 receptors on sweat glands Datura is nothing but atropine-anticholinergic drug Ref: KDT 6th ed pg 114-116